Which of the following actions are performed by prostacyclin PGI2 :
1. Vasodilation and platelet aggregation
2. Vasodilation and inhibition of platelet aggregation
3. Vasoconstriction and platelet aggregation
4. Vasoconstriction and inhibition of platelet aggregation

Correct answer: 2. Vasodilation and inhibition of platelet aggregation